Ligament below head of talus is
1. Spring
2. Deltoid 13
3. Cervical
4. None

Correct answer: 1. Spring

Explanation: SPRING LIGAMENT:- Also known as plantar calcaneonavicular ligament. Attachments-Anteriorly: plantar surface of navicular bone.Posteriorly: anterior margin of sustentaculum tali. Head of talus directly rests on upper surface of the ligament. The plantar surface of the ligament is supported by tendon of tibialis posterior medially,and by tendons of flexor hallucis longus and flexor digitorum longus laterally. Most important ligament for maintaining the medial longitudinal arch of foot. TALUS:-Second largest tarsal bone.Head, neck and body. Tibia above and calcaneum below, Attachments:-Devoid of muscular attachment.Numerous ligaments attached to it because it takes part in three joints- ankle, talocalcanean, and talonavicular .Neck:- Capsular ligament of ankle joint.Dorsal talonavicular Interosseus talocalcanean and cervical ligament.Anterior talofibular ligament. Medial surface of body:- deep fibres of deltoid. Medial tubercle - superficial fibres of deltoid ligament. Groove on posterior surface lodges flexor hallucis tendon. Posterior talofibular ligament attached to posterior process.Plantar border: posterior talocalcanean ligament. {Reference: BDC 6E pg no. 30}